The principal action of ammonia in syncope is as a:
1. Vasomotor stimulant
2. Respiratory stimulant
3. Vagal stimulant
4. Inhibitor of vasomotor tone

Correct answer: 2. Respiratory stimulant